SGLT1 found in small intestine transports
1. Nucleic acids
2. Amino acids
3. Monosaccharides
4. All the above

Correct answer: 3. Monosaccharides